Hyperaldosteronism is associated with all except:
1. Hypernatremia
2. Hypokalemia
3. Hypertension
4. Metabolic acidosis

Correct answer: 4. Metabolic acidosis

Explanation: Ans. (d) Metabolic acidosis(Ref: Ganong, 25th ed/p.370)Clinical consequences of excess aldosterone are,#Sodium and water retention leading to expansion of ECF volume and hypertension#Excess potassium excretion by kidney (K+ loss)#Excessive urinary excretion of H+ ion leading to metabolic alkalosis